Miscarriage is under which IPC -
1. 320
2. 314
3. 312
4. 315

Correct answer: 3. 312

Explanation: Ans. is 'c' i.e., 312o 312 IPC-causing miscarriage (3 years imprisonment with or without fine).o 313 IPC-causing miscarriage without consent of lady (10 years imprisonment which can extend upto life with or without fine).o 314 IPC- death of patient caused by miscarriage (10 years imprisonment with or without fine),o 315 IPC- death of child during miscarriage (10 years imprisonment with or without fine).